Laminin is present in -
1. Basement membrane
2. Lens
3. Liver
4. Lungs

Correct answer: 1. Basement membrane